Direct coomb's test detects -
1. Antigen in serum
2. Antibodies in RBC surface
3. Antigen in RBC surface
4. Antibodies in serum

Correct answer: 2. Antibodies in RBC surface